Immunosuppressant drug inhibiting the action of IL-2 without inhibiting its transcription is:
1. Prednisolone
2. Cyclosporine
3. Tacrolimus
4. Sirolimus

Correct answer: 4. Sirolimus

Explanation: Cyclosporine and tacrolimus are calcineurin inhibitors. These inhibit the formation (gene transcription) of interleukins. Sirolimus is mTOR inhibitor. It inhibits the action of interleukins after their formation.